Palindrome is associated with:
1. Synthesis of DNA
2. Extrachromosomal molecule of DNA
3. Sequence of DNA
4. Small nuclear RNA

Correct answer: 3. Sequence of DNA

Explanation: Palindromic DNA - A palindrome is a sentence that reads the same forwards and backwards, e.g. 'Madam I'm Adam'. The DNAs of several eukaryotes are shown to have palindromic sequences, in which nucleotides of one strand going in one direction are the same as the nucleotides of the other strand going in the other direction.The exact significance of palindromic DNA is not known, although several functions have been suggested.Short palindromes may function as recognition sites of DNA for proteins which also have a two-fold rotational symmetry, e.g. lac repressor protein, CRP protein and many bacterial restriction enzymes.Palindromes may also give structural strength to the transcribed RNA by hydrogen bonding in the hairpin loops. If the palindromic sequences are not perfectly symmetrical, imperfect loops may result.